Ventouse in the 2nd stage of labour is contraindicated in
1. Persistent occipitoposterior position
2. Uterine inertia
3. Heart disease
4. Prematurity

Correct answer: 4. Prematurity

Explanation: 1.Ventouse in the 2nd stage of labour is contraindicated in Prematurity as it can lead to - cephalohematoma, subgaleal hemorrhage, retinal hemorrhage, neonatal jaundice secondary to these hemorrhages and scalp lacerations. 2. A forceps is known to cage a small preterm head and in fact protect it.So, it is prefered